Which of the following is TRUE regarding vascularity of lung?
1. Hypoxia causes vasodilation
2. Ratio of pulmonary to systemic vascular resistance is usually more than 0.3
3. Perfusion is more in the apical lobe than in base
4. The blood flow is less in the upper part of the lungs

Correct answer: 4. The blood flow is less in the upper part of the lungs

Explanation: Gravity has a relatively marked effect on the pulmonary circulation. In the upper part of the lungs, the blood flow is less, the alveoli are larger, and ventilation is less than at the base. The O2 deficiency apparently acts directly on vascular smooth muscle in the area to produce constriction, shunting blood away from the hypoxic area. The ratio of pulmonary to systemic vascular resistance is usually less than 0.3. Ref: Barrett K.E., Barman S.M., Boitano S., Brooks H.L. (2012). Chapter 34. Introduction to Pulmonary Structure and Mechanics. In K.E. Barrett, S.M. Barman, S. Boitano, H.L. Brooks (Eds), Ganong's Review of Medical Physiology, 24e.